Thornwaldt's cyst is
1. Laryngeal cyst
2. Nasopharyngeal cyst
3. Ear cyst
4. None

Correct answer: 2. Nasopharyngeal cyst